32 year old multipara with Cu-T in place comes for regular checkup. Her urine pregnancy test is positive and 10 weeks intrauterine gestation is confirmed on USG. She wishes to continue pregnancy, which of the following management strategies is recommended in this patient.
1. Remove the IUD and evacuate the uterine contents
2. Remove the IUD and plan expectant pregnancy management
3. Leave the IUD in place and plan expectant pregnancy  management
4. Leave the IUD in place and administer broad-spectrum antibiotics for next 4 weeks

Correct answer: 2. Remove the IUD and plan expectant pregnancy management

Explanation: In those with pregnancy and an IUD, early pregnancy identification is important. Upto 14 weeks gestation, IUD strings may be visible within the cervix. Removal of IUD reduces subsequent complications like abortion, sepsis and preterm birth.